Risk of thromboembolism is highest with:
1. Deep femoral vein thrombus
2. Anterior tibial vein thrombus
3. Posterior tibial vein thrombus
4. Popliteal vein thrombus

Correct answer: 1. Deep femoral vein thrombus

Explanation: Ans. Deep femoral vein thrombus